Which of the following is not a cachetic gene?
1. APEH
2. MC4R
3. Smad7
4. Smad3

Correct answer: 3. Smad7

Explanation: Ans is 'c' i.e. Smad 7 o Smad 7 gene delivery prevents cachexia.o Smad-3y melanocortin - 4 receptor (MC4R) and APEH (acylpeptide hydrolase) genes have been implicated in causation of cancer cachexia.